Which is raised in dysgerminoma?
1. AFP
2. LDH
3. HCG
4. CA-A 19-9

Correct answer: 2. LDH

Explanation: - dysgerminoma is the most common among the malignant germ cell tumors accounting for 40%. - tumors markers like placental alkaline phosphatase and lactic dehydrogenase may be elevated in dysgerminoma. Reference : textbook of gynaecology Sheila balakrishnan, 2nd edition, pg no: 283